All are lateral branches of abdominal aorta, EXCEPT:
1. Right testicular artery
2. Left renal artery
3. Inferior mesenteric artery
4. Middle suprarenal artery

Correct answer: 3. Inferior mesenteric artery

Explanation: C. i.e. Inferior mesenteric arteryLateral branches of abdominal aorta are - Inferior phrenic, Middle Suprarenal, Renal & Gonadal (testicular or ovarian) >- arteries. Mnemonic - "Inferior MS Ruin Gonads"